Aspirin is contraindicated in a case who is on treatment with:
1. Prednisolone
2. Warfarin
3. Theophyline
4. Oral contraceptives

Correct answer: 2. Warfarin

Explanation: Warfarin